Principal blood supply to tonsil is from
1. Lingual artery
2. Descending palatine artery
3. Ascending pharyngeal artery
4. Facial artery

Correct answer: 4. Facial artery

Explanation: Arterial supply of tonsil: Tonsillar branch of facial artery (Principal blood supply) Dorsalis linguae branches of lingual artery. Ascending palatine, a branch of facial artery. Ascending pharyngeal, a branch of external carotid artery. Greater palatine (descending palatine), a branch of maxillary artery.